The pupil of a newborn is:
1. Dilated
2. Mid-dilated
3. Constricted
4. Normal

Correct answer: 3. Constricted

Explanation: c. Constricted(Ref: Nelson's 20/e p 3016)Pupils of a newborn are small & difficult to dilate, due to immature iris dilator muscle.Lens of a newborn infant is more spherical than that of an adult.Fundus of a newborn's eye is less pigmented than that of an adult.